In which of the following situations risk of pneumococcal meningitis is noticed?
1. Patient with hypoplasia of lung
2. Post splenectomy patient
3. Patient following cardiac surgery
4. Patient undergone neurosurgical intervention

Correct answer: 2. Post splenectomy patient

Explanation: (B) Post splenectomy patient # Persons at enhanced risk of pneumococcal infection such as those with absent or dysfunctional spleen, sickle cell disease, coeliac disease, chronic renal, lung, heart and liver diseases, diabetes mellitus and immunodeficiencies including HIV infection.> Meningococcal meningitis may be associated with: Acute respiratory infection Petechial rashes on skin and mucosa Waterhouse-Friderichsen syndrome, Polymorphonuclear leucocytosis in CSF